Food with maximum cholesterol content
1. Egg
2. Coconut Oil
3. Hydrogenated Fats
4. Ghee (Hydrogenated)

Correct answer: 1. Egg

Explanation: Ans. a. Egg Food with maximum cholesterol content is egg. "The yolks of eggs have the most cholesterol of any food with 1234 mg pr 100 gram serving or 411% of the DV. A single egg yolk will provide 210 mg (70% DV) of cholesterol, while a whole egg provides slightly more with 212 mg Important points about Egg All the cholesterol in egg is found in the yolkQ Egg white does not have any cholesteroldeg Egg contains all the nutrients except carbohydrates and vitamin CQ. Egg protein is considered the best among food proteins and is the standard against which the quality of other proteins is comparee. NPU of egg protein is 100Q